Parathyroid adenoma most commonly involves which of the following sites:--
1. Thyroid substance
2. Superior parathyroid lobe
3. Inferior parathyroid lobe
4. In the mediastinum

Correct answer: 3. Inferior parathyroid lobe

Explanation: Ans 'c' i.e. inferior parathyroid lobe .Parathyroid adenomas most commonly involves the inferior parathyroid glands.